Fick's principle is used to calculate:
1. Cardiac output
2. Pulse pressure
3. Cardiac axis
4. LVET

Correct answer: 1. Cardiac output

Explanation: Ans: A (Cardiac output) Ref: Pal GK, Cardiac Output. In: Textbook of Medical Physiology, 2nd ed, Ahuja Publishing House 2011: 74: 608Explanation:In Fick's method, the following variables are measured:Oxygen consumption in ml of pure gaseous oxygen per minuteOxygen concentration of blood taken from the pulmonary arteryOxygen concentration of blood from a cannula in a peripheral arteryCardiac Output =Oxygen consumption-------------Arteriovenous oxygen differencex 100Fick's principle can also be used in renal physiology to calculate renal blood flow.Pulse pressure is the difference between systolic and diastolic pressureCardiac axis is measured using ECGLeft ventricular ejection time is estimated with carotid pulse tracing